Which one of the following is not used as a tumor marker in testicular tumours?
1. AFP
2. LDH
3. HCG
4. CEA

Correct answer: 4. CEA

Explanation: The classification proposed by the International Lymphoma Study Group for non-Hodgkin's lymphoma is known as REAL classification. By combining morphologic, immunologic, cytogenetic and molecular features this classification proposed 34 biologically well defined lymphoma entities. This classification placed emphasis on the underlying biologic aberration of specific lymphoma subtypes. It has included a much larger range of lymphomas starting with the precursor cells of both B and T lines and also including lymphocytic cells of different zones of the node, like mantle zone and marginal zone. Ref: Malignant Lymphomas, Volume 1 By Michael L, Page 1;Textbook of Pathology By Datta, 2nd Edition, Page 878